True about methyl alcohol poisoning is:
1. Ethyl alcohol is used
2. Formation of formic acid produces blindness
3. Gastric lavage done
4. All of these

Correct answer: 4. All of these